Drug which clears trypanosomes from blood and lymph nodes and is active in late CNS stages of African sleeping sickness
1. Emetine
2. Melarsoprol
3. Nifuumix
4. Suramin

Correct answer: 2. Melarsoprol

Explanation: Melarsoprol in cns stage, suramin in heamolymphaticstage, chagas disease nifurtimox.Ref: Katzung 10/e p863